Incisura is absent in ?
1. Aortic valve replacement
2. Aortic stenosis
3. Cardiac tamponade
4. Hypovolumic shock

Correct answer: 2. Aortic stenosis

Explanation: The occurrence and magnitude of the incisura of the central aortic pressure were shown in 66 patients to depend on the functional state of the aortic valve. In normal subjects and children with congenital aortic stenosis (with thin flexible leaflets), the incisura ranged between 6 and 14 mm Hg. With aortic regurgitation, the incisura diminished as the severity of regurgitation increased. With calcific aortic stenosis, the incisura was smaller or absent. These observations imply a valve mechanism productive of the incisura. In vitro studies of human aortic valves confirmed these observations. Additional in vitro studies with high speed cinematography (2,000 frames/sec) of a stented normal porcine valve also showed that early diastolic stretch and recoil of the leaflets occurs. These results indicate that in the presence of a normal or diseased aortic valve the aortic incisura is produced primarily by valve distension or recoil, respectively. Distension and rebound of the aortic walls do not appear to contribute significantly in the presence of a normal or a diseased valve. Because acquired aortic valve disease affects the magnitude of the central aortic incisura, inspection of the incisura may be of ancillary valve in evaluating the pathologic state of the aortic valve. Ref Davidson 23rd edition pg 431